Basophilic cells of pituitary secretes:
1. Prolactin
2. GH
3. LSH
4. All

Correct answer: 3. LSH

Explanation: B i.e. TSH